Bainbridge reflex is due to
1. Stretching of atria
2. Baroreceptor reflex
3. Decreased venous return
4. Increased ventricular activity

Correct answer: 1. Stretching of atria

Explanation: Ref:- Guyton and Hall Textbook of Medical Physiology 13th ed; pg num:- 268